Superinfection is common in:
1. Narrow spectrum antibiotics
2. Immunocompromised host
3. Low spectrum antibiotics
4. Nutritional deficiency

Correct answer: 2. Immunocompromised host

Explanation: Super Infection (Suprainfection) This refers to the appearance of a new infection as a result of antimicrobial therapy Superinfections are more common when he - * defence is compromised. Lack of competition may allow even a normally non pathogenic component of the flora, which is non inhibited by the drug (e.g. Candida), to predominate and invade. More complete the suppression of body flora, greater are the chances of developing superinfection . Thus, it is commonly associated with the use of broad/extended-spectrum antibiotics, such as tetracyclines, chloramphenicol , ampicillin, newer cephalosporins; especially when combinations of these are employed. ESSENTIALS OF MEDICAL PHARMACOLOGY K.D.TRIPATHI SIXTH EDITION PAGE NO:672